Advantage of palatal strap:
1. Increased rigidity with Less bulk
2. Increased retention of appliance
3. Can be used in Kennedy class I partial dentures
4. More economical and comfortable to patient

Correct answer: 1. Increased rigidity with Less bulk